Band form of P malariae is ?
1. Schizoint stage
2. Trophozoite stage
3. Merozoite stage
4. Gametocyte stage

Correct answer: 2. Trophozoite stage

Explanation: Ans. is 'b' i.e., Trophozoite stage